Which of the following neuroleptics is not an atypical antipsychotic?
1. Clozapine
2. Ziprazidone
3. Zuclopenthixol
4. Quetiapine

Correct answer: 3. Zuclopenthixol

Explanation: Atypical antipsychotics are new generation anti-psychotics which are called serotonin-dopamine antagonists (SDA). These drugs include Olanzapine, Risperidone, Quetiapine, Clozapine and Ziprazidone. They have higher ratio of serotonin (5-HT2) receptor blockade compated to the higher dopamine receptor blockade in the old generation anti-psychotics like Haloperidol, Chlorpromazine, Zuclopenthixol etc. Atypical antipsychotics are a reduced risk for extra-pyramidal side effects (EPSEs) including tardive dyskinesia. Efficasy of the atypicals are proved in Schizophrenia and acute mania. Ref: Kaplan & Sadock's Synopsis of Psychiatry, By Benjamin J Sadock, M.D., Harold I. Kaplan, Virginia A Sadock, M.D, 10th Edition, Page : 1091